Mobitz II heart block is seen with all except?
1. Hypothyroidism
2. Coronary artery disease
3. Sarcoidosis
4. Cushing syndrome

Correct answer: 4. Cushing syndrome

Explanation: Mobitz II | Damage to BOH at infranodal site Option A- Hypothyroidism - myxedema- Mobitz II Option B- Coronary artery disease= Ischemic - Mobitz II Option C- Sarcoidosis= Non caseating granuloma- Mobitz II